Hyperthyroidism can be caused by
1. Clonidine
2. Amiodarone
3. Hydralazine
4. Penicillamine

Correct answer: 2. Amiodarone